Following are the advantages of sustained release preparation over the conventional preparations except ?
1. Decreased frequency of administration
2. Improved compliance
3. Less incidence of high peak side effects
4. Drugs with half life > 4 hours are suitable

Correct answer: 4. Drugs with half life > 4 hours are suitable

Explanation: Ans. is 'd' i.e., Drugs with half life > 4 hours are suitable Acts for a longer period. Frequency of administration is reduced -more convenient. Improved patient compliance - a single morning dose is less likely to be forgotten/omitted than a 6 or 8 hourly regimen; a monthly or quarterly administered contraceptive over one that has to be taken daily. Large fluctuations in plasma concentration are avoided. Side effects related to high peak plama level just after a dose (e.g. nifedipine) would be minimized. Better round-the-clock control of blood sugar, etc. Drug effect could be maintained overnight without disturbing sleep, e.g. antiasthmatics, anticonvulsants, etc.